B-type tympanogram is seen in
1. Otosclerosis
2. Ossicular discontinuity
3. Serous otitis media
4. All of the above

Correct answer: 3. Serous otitis media

Explanation: IMPEDANCE AUDIOMETRY It is an objective test, widely used in clinical practice and is particularly useful in children. It consists of: (a) Tympanometry (b) Acoustic reflex measurements. Tympanometry Types of tympanograms: Type A: Normal tympanogram. Type As: Compliance is lower at or near ambient air pressure. Seen in fixation of ossicles, e.g. otosclerosis or malleus fixation. Type Ad: High compliance at or near ambient pressure. Seen in ossicular discontinuity or thin and lax tympanic membrane. Type B: A flat or dome-shaped graph. No change in compliance with pressure changes. Seen in middle ear fluid or thick tympanic membrane. Type C: Maximum compliance occurs with negative pressure in excess of 100 mm H2O. Seen in retracted tympanic membrane. Ref:- Dhingra; pg num:-24